Critical pH for initiation of caries in dentin is:
1. 4.3-4.5
2. 5.2-5.5
3. 4.9-5.1
4. 6.2-6.5

Correct answer: 4. 6.2-6.5

Explanation: Critical pH for initiation of caries in dentin is 6.2-6.5.
In addition, the critical pH for dentin is higher than for enamel, so demineralization is likely to start even before the pH reaches the critical level for enamel (pH = 5.5).